Which of the following anticancer drugs is not derived from plants?
1. Irinotecan
2. Doxorubicin
3. Paclitaxel
4. Etoposide

Correct answer: 2. Doxorubicin

Explanation: Ans. is 'b' i.e., Doxorubicino Antitumor antibiotics includes anthracvcline antibiotics (doxorubicin also known as adriamycin, daunorubicin, epirubicin and idarubicin), mitoxantrone, bleomycin, dactinomycin and mitomyin. All antitumor antibiotics are obtained from Streptomyces.DrugSourceCamptothecins (Irinotecan and Topotecan)Camptotheca acuminate treePaclitaxelBark of Western yew treeEtoposidePodophyllotoxin, a plant glycosideAnitumor antibioticsStreptomyces